Which of the following harmone increases with age-
1. GH
2. Prolactin
3. Insulin
4. LH

Correct answer: 4. LH

Explanation: Ans. is 'd' i.e., LHAge related change of hormonesDecrease with ageNo change or slight decreaseIncrease with age* Aldosterone* Cortisol* Parathyroid hormone* Calcitonin* Epinephrine* FSH* Growth hormone* Insulin* LH* Renin* Thyroid hormones (T3 or T4)* Norepinephrine* Estrogen* Testosterone (slight decrease) * Prolactin